The withdrawal from all of the following may produce suicidal tendencies except
1. Cocaine
2. Amphetamine
3. Alcohol
4. Cannabis

Correct answer: 4. Cannabis

Explanation: Cannabis produces a very mild physical dependence, with a relatively mild withdrawal syndrome, which is characterised by fine tremors, irritability, restlessness, nervousness, insomnia, decreased appetite and craving. This syn drome begins within few hours of stopping cannabis use and lasts for 4 to 5 days. However, some health professionals feel that there is no true physical dependence with cannabis. Reference: A short textbook of psychiatry by Niraj Ahuja, page no. 45.